Darling disease is caused by -
1. Histoplasma
2. Candida
3. Cryptococcus
4. Rhizopus

Correct answer: 1. Histoplasma

Explanation: Histoplasmosis or Darling's disease is caused by dimorphic fungus - Histoplasma capsulatum. It is called Darling's disease because it was found by Samuel Darling in histopathologic specimens about a century ago. Reservoir: Humid and acidic soil containing bird or bat droppings. Clinical Manifestations: Pulmonary histoplasmosis: It is the most common form. Acute form starts as mild flu like illness Chronic form - Cavitary histoplasmosis Disseminated histoplasmosis develops if CMI is very low (as in HIV).